Lymphocytes are produced in
1. Lymph node
2. Thymus
3. Bone marrow
4. All of the above

Correct answer: 4. All of the above

Explanation: Aside from the cells committed to form RBCs, two major lineages of WBCs are formed, the myelocytic and the lymphocytic lineages. The granulocytes and monocytes are formed only in the bone marrow. Lymphocytes and plasma cells are produced mainly in the various lymphogenous tissues-- especially the lymph glands, spleen, thymus, tonsils, and various pockets of lymphoid tissue elsewhere in the body, such as in the bone marrow and in so-called Peyer 's patches underneath the epithelium in the gut wall.Ref: Guyton and Hall textbook of medical physiology 13th edition. Page: 456